Mivacurium false is:
1. Hypertension
2. Increasing the dose produces rapid onset of action
3. Bronchospasm
4. Flushing

Correct answer: 1. Hypertension

Explanation: Hypertension